All of the following are the electrocardiographic features of severe hyperkalemia except -
1. Peaked T waves
2. Presence of U waves
3. Sine waves pattern
4. Loss of P waves

Correct answer: 2. Presence of U waves